Triple surgery in glaucoma includes all of the following except:
1. Trabeculectomy
2. PCIOL implantation
3. Insertion of drainage device
4. Extra capsular cataract extraction

Correct answer: 3. Insertion of drainage device

Explanation: (Refer: AK Khurana Comprehensive Ophthalmology, 6th edition, pg no. 253)
Triple Procedure for Glaucoma:

TRABECULECTOMY
ECCE
PCIOL INSERTION